Gold foil is prepared by
1. Condensation
2. Beating
3. Rolling
4. annealing

Correct answer: 2. Beating